Alveolar hypoventilation is observed in:
1. Guillain -Barre syndrome
2. Acute asthma
3. Bronchiectasis
4. CREST syndrome

Correct answer: 1. Guillain -Barre syndrome

Explanation: Neuromuscular diseases that can cause alveolar hypoventilation include myasthenia gravis, amyotrophic lateral sclerosis, Guillain-Barre syndrome and muscular dystrophy. Patients with neuromuscular disorders have rapid, shallow breathing secondary to severe muscle weakness or abnormal motor neuron function.